"Raptures of the depth" are caused by:
1. CO narcosis
2. CO2 narcosis
3. N2 narcosis
4. O2 toxicity

Correct answer: 3. N2 narcosis

Explanation: A diver working at the depth for prolonged periods has gases in the body getting compressed and dissolved in body fluids. Major gas being N2, its dissolution in the body fluids, and particularly in the myelin sheaths of CNS neurons, results in the 'raptures of the depth'.